In case of complete hanging, hypostasis is seen over _____ after suspending for more than 8 hours
1. Back of the body only
2. Around the ligature mark
3. Arms and legs
4. Front of the body only

Correct answer: 3. Arms and legs

Explanation: Complete hanging: Body is fully suspended and no part of the body touches the ground. Constricting force is the weight of the body. Purple-colored postmortem staining in the lower limbs and lower regions of upper limbs (hands/forearms)--glove and stocking PM staining Ref - Krishan Vij textbook of forensic medicine and toxicology 5e pg - 124,125